Insulin resistance in pregnancy is because of:
1. Human placental lactogen
2. Progesterone
3. Estrogen
4. All the above

Correct answer: 4. All the above

Explanation: During pregnancy, insulin levels are increased because of increased insulin secretion as well as increase in insulin resistance due to number of contra insulin factors. These are Estrogen Progesterone Human placental lactogen Cortisol Prolactin The main hormone responsible for insulin resistance is HPL. Ref:Dutta Obs 9e pg 55.